Which of the following is an indication for use of Hormone Replacement Therapy in menopausal women:-
1. Hot flushes
2. Cardiovascular protection
3. Pyelonephritis
4. Post menopausal bleeding

Correct answer: 1. Hot flushes

Explanation: H indicated in menopausal women to overcome the short term and long term consequences of estrogen deficiency. Indications of hormone replacement therapy in a menopausal woman Relief of vasomotor symptoms: hot flushes Prevention and treatment of osteoporosis Urogenital atrophy Premature Menopause Hormone Replacement Therapy is NOT indicated for prevention or treatment of cardiovascular disease. Natural estrogens produced in the body till menopause are cardioprotective, however Hormone Replacement Therapy (containing exogenous estrogens and progesterones)is not cardioprotective. There is no role of Hormone Therapy in pyelonephriis Post menopausal bleeding needs evaluation of cause, especially to rule out malignancies and treated accordingly. Hormone Replacement Therapy is contraindicated in any undiagnosed vaginal bleeding.